Initially renal arteries are branches of
1. Aorta
2. Common iliac artery
3. External iliac artery
4. Internal pudendal artery

Correct answer: 2. Common iliac artery

Explanation: Initially the renal arteries are branches of the common iliac arteries, then the distal end of aorta and when kidneys are located at a higher level, they receive new branches from the aorta. Normally the caudal renal vessels undergo involution and disappear. Ref - pubmed.com